DD for Rt. upper quadrant calcification:
1. Gallstone
2. Renal stone
3. Calcification in vessels
4. All

Correct answer: 4. All

Explanation: All Causes of radiopaque material in bowel - Chloral hydrate - Heavy metals - Iron - Phenothiazine - Salicylate - Mnemonic - "CHIPS" Calcification in right hypochondrium Gall stone, calcified (porcelain) gall bladderQ Calcified lymph node/vessel /costal cailage Hepatic adenoma, hemangiomaQ, metastases Calcification in substance of kidneyQ Phlebolith Gasless Abdomen (Adult) High obstruction eg gastric outflow obstruction, congenital atresia Excessive vomiting eg acute pancreatitisQ Fluid filled bowel eg closed loop obstruction, total active colitis, mesenteric infarction (early), bowel wash-out Large bowel mass (pushing bowel laterally) - Ascites - Normal In children other causes of high obstruction & vomiting include Oesophageal atresia without fistula distally Hyperophic pyloric stenosis Duodenal atresia, Annular pancreas, Choledochel cyst, volvulus (2deg to malrotation) Congenital diaphragmatic herniaQ